Synonymous of pugilistic attitude is -
1. Defence attitude
2. Assault attitude
3. Bow string attitude
4. Bayonet attitude

Correct answer: 1. Defence attitude

Explanation: Ans. is 'a' i.e,, Defence attitude Pugilistic attitude(boxing/fencing/defence attitude)o It is heat stiffening caused by denaturation and coagulation of proteins,o It is indicative of exposure to intense heat,o There is flexion at all joints and ?clawing of fingers,o This phenomenon occurs both in antemortem and postmortem burns.